Population covered by a community health centre?
1. 5000
2. 30,000
3. 100,000
4. None

Correct answer: 3. 100,000

Explanation: Ans. is 'c' i.e., 100,000